Rhinolalia clausa is associated with all of the following, EXCEPT:
1. Allergic rhinitis
2. Palatal paralysis
3. Adenoids
4. Nasal polyps

Correct answer: 2. Palatal paralysis

Explanation: Palatal paralysis is a cause of Rhinolalia Apea (Hypernasality) and not Rhinolilia Clausa (Hyponasality). Rhinolalia Apea (Hypernasality or hyperrhinolalia or open nasality) is defined as excess resonance of vowels and voiced consonants within the nasal cavities. The anatomic-physiologic basis is open coupling between the oral and nasal cavities due to incomplete closure of the hard palate and/or velopharyngeal sphincter.